Hypovitaminosis - D causes -
1. Zonular cataract
2. Blue - Dot cataract
3. Rosette cataract
4. Cupliform cataract

Correct answer: 1. Zonular cataract

Explanation: Zonular or lamellar cataract is a congenital type Etiology may be either genetic or environmental in origin. Environmental form is associated with: deficiencyof vitamin D hypocalcemia Sometimes maternal rubella infection contracted between 7th and 8th week of gestation may also cause lamellar cataract.